Nucleotide repeat in Spinocerebellar ataxia type 6.
1. CAG
2. CGG
3. GAA
4. CTG

Correct answer: 1. CAG

Explanation: Fragile X - CGG
Freidrich ataxia - GAA
Myotonic dystrophy - CTG